Interpret the following ABG values: PcCo2 - 40, HCO3 - 55 mEq/L and pH - 7.7:-
1. Uncompensated metabolic alkalosis
2. Mixed respiratory and metabolic acidosis
3. Combined respiratory and metabolic acidosis
4. Compensated respiratory acidosis

Correct answer: 1. Uncompensated metabolic alkalosis